Reverse transcriptase of HBV is coded on
1. s gene
2. x gene
3. c gene
4. p gene

Correct answer: 4. p gene

Explanation: P is the large gene having 3 enzymatic activities

DNA polymerase activity
Reverse transcriptase activity
RNase H activity.